Scutum is ?
1. Bony part of outer attic wall
2. Bony part of inner attic wall
3. Cartilaginous part of outer attic wall
4. Cartilagenous part of inner attic wall

Correct answer: 1. Bony part of outer attic wall

Explanation: Ans. is 'a' i.e., Bony part of outer attic wall The lateral wall of the middle ear is formed largely by the tympanic membrane and to a lesser extent by the bony outer attic wall called the scutum.